Laminin is seen in -
1. Basement membrane
2. Lens
3. Bone
4. Cartilage

Correct answer: 1. Basement membrane